The most common causative organism for Traveller's diarrhoea is -
1. E. coli
2. Shigella
3. Norwalk virus
4. Rotavirus

Correct answer: 1. E. coli